Regarding BP apparatus all are true except:
1. Width of the cuff should be 20% more than the limb diameter
2. Width of the cuff should be 40% of the limb circumference
3. Length of the cuff should be adequate to encircle atleast 80%of the limb
4. Ratio of width and length of cuff is 1:4

Correct answer: 4. Ratio of width and length of cuff is 1:4

Explanation: Ratio between cuff width and length is 1:2